A 60-year-old man has his left forearm amputated because he has invasive rhabdomyosarcoma. The pathologist notes calcification in the wall of the radial artery, which otherwise appears unremarkable. Which of the following is the appropriate diagnosis?
1. Churg-Strauss disease
2. Complicated atherosclerotic plaque
3. Fibromuscular dysplasia
4. Monckeberg medial sclerosis

Correct answer: 4. Monckeberg medial sclerosis

Explanation: Monckeberg medial sclerosis is characterized by calcification of the media of large and medium-sized arteries of older persons who are not otherwise affected by atherosclerosis . On gross examination, the involved arteries are hard and dilated. These arterial changes are usually asymptomatic. None of the other choices display calcification.